Which local anesthetic has a shorter duration of action?
1. Lidocaine
2. Procaine
3. Bupivacaine
4. Ropivacaine

Correct answer: 2. Procaine

Explanation: Procaine has least duration among the following. Procaine,Bencocaine,chlorprocaine all of them are short acting LA. Ref: Katzung 13e pg: 443